Toxic effect of local anaesthetic include:
1. Convulsions
2. Asystole
3. Methemoglobinemia
4. All of the above

Correct answer: 4. All of the above